Neonatal period extends upto
1. 21 days of life
2. 30 days of life
3. 28 days of life
4. 35 days of life

Correct answer: 3. 28 days of life

Explanation: Neonatal period extends from birth to <28 days (under 4 wks) of age. First week of life(<7days or <168 hrs) is known as early neonatal period. Late neonatal period extends from 7th day to <28th day. Reference : page 124 Ghai Essential Pediatrics 8th edition